Definition of TIA is, patient signs and symptoms resolve by
1. 24 hours
2. 36 hours
3. 48 hours
4. 72 hours

Correct answer: 1. 24 hours

Explanation: When blood flow is quickly restored, brain tissue can recover fully and the patient's symptoms are only transient, this is called a transient ischemic attack (TIA). The definition of TIA requires that all neurologic signs and symptoms resolve within 24 h without evidence of brain infarction on brain imaging. Most TIAs last <1 h.Stroke has occurred if the neurologic signs and symptoms last for >24 h or brain infarction is demonstratedRef: Harrison 19e pg: 2559